Genital ulcer is/are caused by – a) HPVb) HSVc) HIVd) Treponema pallidum
1. c
2. d
3. ab
4. bd

Correct answer: 4. bd